Pneumonia alba is due to
1. Klebsiella
2. Streptococci
3. Treponema Pallidum
4. Staphylococci

Correct answer: 3. Treponema Pallidum

Explanation: Pneumonia alba seen in neonates with congenital syphilis. Pneumonia alba (white pneumonia) is often seen in neonates with congenital syphilis. The lung may be firm and pale, owing to the presence of inflammatory cells and fibrosis in the alveolar septa. Spirochetes are readily demonstrable in tissue sections . Ref Davidson edition23rd pg 584